If MC/MF is less than 1, but greater than 0, movement of the tooth will be:
1. Pure tipping
2. Torque
3. Controlled tipping
4. None of the above

Correct answer: 3. Controlled tipping